Fast breathing in a child less than 2 months is defined as respiratory rate more than -
1. 40 breaths per minute
2. 50 breaths per minute
3. 60 breaths per minute
4. 70 breaths per minute

Correct answer: 3. 60 breaths per minute

Explanation: Ans. is 'c' i.e., 60 breaths per minute * Fast breathing is defined asi) Child less than 2 months of age - 60 breaths per minute.ii) Child aged 2 months upto 12 months - 50 breaths per minuteiii) Child aged 12 months upto 5 years - 40 breaths per minute